Meckel's cartilage gives rise to:
1. Condylar process
2. Coronoid process
3. Rest of ramus
4. None of the above

Correct answer: 4. None of the above

Explanation: There is a marked acceleration of mandibular growth between the eighth and twelfth weeks of fetal life. As a result of the mandibular length increase, the external auditory meatus appears to move posteriorly. The development of a slender cartilage rod (Meckel cartilage) during the second month serves as a precursor of the mandibular mesenchyme that forms around it and is responsible for mandibular growth activity. At its proximal aspect, nearest to the chondrocranium, it is actually possible to discern the incus, the malleus and the stapes of the ear. The form of the incus, malleus and stapes at the end of 3 months is essentially complete.